Upper segment to lower segment ratio in 3 yr age child is ___________
1. 1.2
2. 1.3
3. 1.4
4. 1.6

Correct answer: 2. 1.3

Explanation: .The U/L ratio (upper body segment :lower body segment) at birth is about 1.7; at age 3 years it is 1.3; at greater than 7 years, it is 1.0 with the upper body segment and lowerbody segment being about equal. Note : higher U/L ratios are noted in short-limb dwarfism and other bone disorders such as rickets. Reference: GHAI Essential pediatrics, 8th edition